The interval time between receipt of infection and maximum infectivity of the host is known as:
1. Secondary attack rate
2. Incubation period
3. Generation time
4. Serial interval

Correct answer: 3. Generation time

Explanation: Secondary attack rate: It is the number of exposed individuals who develop a disease within the incubation period following exposure to a primary case. Serial interval: It is the time gap between the detection of the primary case and the secondary case in a communicable disease. Generation time: It is the interval time between receipt of infection and maximum infectivity of the host. Ref: Park 21st edition, page 95.